Commonly used Rodenticide is-
1. Zinc sulphate
2. Copper sulphate
3. Zinc oxide
4. None

Correct answer: 4. None

Explanation: Ans. is 'None'